Dermatome supplying the middle finger is -
1. C6
2. C7
3. C8
4. T1

Correct answer: 2. C7

Explanation: Ans. is'b' i.e., C7(Ref: BDC Sth/e Vol. 1 p. 68).Thumb - C6Ring middle & index finger - C7Little finger - C8.